The following are true of Mendelson's syndrome –
1. Critical volume of aspirate is 50 mls
2. Critical pH of gastric aspirate is 1.5
3. Onset of symptoms generally occurs within 30 minutes
4. Steroids have been shown to improve outcome

Correct answer: 3. Onset of symptoms generally occurs within 30 minutes

Explanation: Symptoms of Mendelson's syndrome generally occurs within 30 minutes of aspiration.
Critical pH is 2.5 and critical volume is 25 ml.
Use of corticosteroid is generally not recommended.